Congenital heart disease which causes death in the first week of life –
1. VSD
2. TOF
3. Ebstein's anomaly
4. Hypoplastic left ventricle

Correct answer: 4. Hypoplastic left ventricle

Explanation: Heart failure and death in congenital heart disease

Many infants born CHD develop life threatening symptoms within the first few days of life.
The infants mortility rate in these cases is as high as 90% --> In 80% of these cases, CHF is the presenting symptom.
So, CHF is the most common cause of mortility in infant with CHD. 
Timing of CHF in UM
Patients with CHD have a relatively better myocardium.
If a patient of CHD does not develop CCF within the first year of life, he is not likely to do so in the next 10 years, unless complicated by anemia, infection or infective endocarditis.